The roof of the olfactory region is formed by?
1. Nasal hone
2. Cribriform plate of ethmoid
3. Sphenoid
4. Temporal bone

Correct answer: 2. Cribriform plate of ethmoid

Explanation: Roof of olfactory region of nasal cavity is formed by cribriform plate of ethmoid boneQ.Other bones participating in non- olfactory roof formation are body of sphenoid, frontal bone, nasal bone and nasal cartilages.